Present in human milk -
1. CaCO3
2. Ca & P
3. K lactate
4. None

Correct answer: 2. Ca & P

Explanation: Ans. is 'b' i.e., Ca & P NutrientContent /100 mlMacronutrientso Calories67 kcalo Proteins1 lgo Fat3.5 go Lactose7.0 gMinerals / Micronutrientso Sodium0.9mEqo Potassium1.4mEqo Calcium35 mgo Phosphorus15mgo Iron30-50 go Zinc120 gVitaminso Vitamin A60 go Vitamin C5.2 mg